Diagnostic of antemortem drowning:
1. Paltaufs hemorrhage
2. Weeds and grass in clenched hands
3. Emphysema aquosum
4. Water in esophagus

Correct answer: 2. Weeds and grass in clenched hands

Explanation: Ans. Weeds and grass in clenched hands